Elek's gel precipitation test is for -
1. Gonococcus
2. Diphtheria
3. H. influenza
4. Anthrax

Correct answer: 2. Diphtheria

Explanation: Ans. is 'b' i.e., Diphtheria